Halban's sign is seen in
1. Endometriosis
2. Adenomyosis
3. Cervical cancer
4. Endometrial cancer

Correct answer: 2. Adenomyosis

Explanation: Halban's sign refers to tender, softened uterus on premenstrual bimanual examination in adenomyosis.